Gas most commonly used to create pneumoperitonium is
1. CO2
2. N2
3. NO2
4. Helium

Correct answer: 1. CO2

Explanation: Ans) a (CO2) Ref:hnp:/Avww.researchgate.net/pubHcation/6252R23_Pathophysiologic effects of CO2-pneiimopentoneum in lupanmnpic surgeryLaparoscopic surgery is one of the most important diagnostic and therapeutic tools in general surgery. This minimally invasive procedure requires pneumoperitoneum for adequate visualization and operative ma-nipulation.Carbon dioxide is the most commonly used gas for creating pneumoperitoneum, because of its high diffusibility and rapid rate of absorption and excretion.Certain specific surgeries that in the past required long hospitalization and were associated with severe post- operative pain and frequent compli-cations are today performed laparoscopically. This minimally invasive technique potentially offers reduced operative time and morbidity, decreased hospital stay and earlier return to normal activities, less pain and less post-operative ileus compared with the traditional open surgical procedures.Because the postoperative benefits are superior to open surgical pro-cedures, laparoscopy is today also used in many high risk patients in ad-vanced age and pre-existent cardiopulmonary and respiratory diseases.However, insufflations of carbon dioxide into the peritoneum may lead to alteration in the acid-base balance, cardiovascular and pulmonary physiology. Although these changes may be well tolerated in healthy pa-tients, in high risk patients they may increase the rate of perioperative complications.